A 40 year old male driver had a car accident in which he got wedged in between. He complained of severe abdominal pain with radiation to the back. The initial CT on admission was negative except for minimal retroperitoneal hematoma. The diagnosis is
1. Liver injury
2. Duodenal perforation
3. Bowel rupture
4. Pancreatic injury

Correct answer: 4. Pancreatic injury

Explanation: severe pain radiating to back following trauma, Retroperitoneal hematoma in CT , all are features of pancreatic injury Bailey & Love ,26th,1125